Immediate cause of death is mentioned in which section of death certificate -
1. Ia
2. Ib
3. Ic
4. II

Correct answer: 1. Ia

Explanation: Ans. is 'a' i.e., Ia Death Certificateo Following information is to be filled in the relevant columns of the death certificate :-Ia - Immediate causeIb - Antecedent causeIc - Antecedent causeII - Other significant condition contributing to the death but not related to the disease or condition causing it.